A term neonate is brought to the pediatric emergency with a history of not feeding well for last 6 hours. On probing, there was a history suggestive of chorioamnionitis and premature rupture of membrane in the mother. Which of the following should be the best approach to manage this baby?
1. Start IV antibiotics immediately, after taking a sample for blood culture.
2. Start oral antibiotics and monitor for worsening of clinical condition
3. Reassure and do nothing
4. Monitor the baby and start IV fluids only

Correct answer: 1. Start IV antibiotics immediately, after taking a sample for blood culture.

Explanation: Perinatal risk factor + sepsis symptoms in baby- Start IV antibiotics immediately, after taking a sample for blood culture